A 25-year-old lady presented with fever of 1-month duration, ataxia and headache. Brain imaging showed dilated ventricles with basal exudates. Which among the following is the most likely CSF finding -
1. Lymphocytosis, low glocose, high protein
2. Lymphocytosis, normal glucose, high protein
3. Lymphocytosis, low glocose, low protein
4. None of the above

Correct answer: 1. Lymphocytosis, low glocose, high protein